The number of gram equivalents in 1 litre of a solution is known as:
1. Molarity
2. Molality
3. Normality
4. None of the above

Correct answer: 3. Normality

Explanation: Electrical equivalence is not necessarily the same as chemical equivalence. A gram equivalent is the weight of a substance that is chemically equivalent to 8.000 g of oxygen. The normality (N) of a solution is the number of gram equivalents in 1 liter. A 1 N solution of hydrochloric acid contains both H+ (1 g) and Cl- (35.5 g) equivalents, = (1 g + 35.5 g)/L = 36.5 g/L. Ref: Ganong's Review of Medical Physiology 23rd edition, Chapter 1.